Most common cause of vaginal bleeding in neonate is?
1. Sarcoma botryoides
2. Birth trauma
3. Bleeding disorder
4. Hormone withdrawal

Correct answer: 4. Hormone withdrawal

Explanation: ANSWER: (D) Hormone withdrawalREF: Shaw 13th ed p. 48"Vaginal bleed may be noticed in neonates in first week, it is due to withdrawal of maternal estrogen circulating in the newborn circulation. No treatment is needed except for reassurance"